In cerebral angiography the dye is injected through:Femoral Artery
1. Femoral Artery
2. Brachial Artery
3. Axillary Artery
4. Radial Artery

Correct answer: 1. Femoral Artery

Explanation: A i.e. Femoral Artery In cerebral angiography, dye is injected through - Femoral ArteryQ (M.C. route). In Fluorscein angiography, dye is injected through Cubital Vein()